The right free margin of lesser omentum contains all EXCEPT
1. Bile duct
2. Hepatic artery
3. Portal Vein
4. Inferior vena cava

Correct answer: 4. Inferior vena cava

Explanation: (Inferior vena cava): (235-BDC-2 6th edition)LESSER OMENTUMRight free margin of lesser omentum contains(a) Hepatic artery proper(b) Portal vein(c) Bile duct(d) Lymph nodes and lymphatics(e) Hepatic plexus of nerves GREATER OMENTUM ("Abdominal Policeman")Contents1. Right and left gastroepiploic vessels2. It is often laden with fat The attachements and contents of the lesser omentum. The liver has been turned upwards so that its posterior can be seen* Ligamentum teres is a remnant of - Left umbilical vein* Blood vessel related to paraduodenal fossa is - Inferior mesenteric vein